Antabuse like effect caused by the oral hypoglycemic drug -
1. Acrabose
2. Chlorpropamide
3. Metaformin
4. Gliclazide

Correct answer: 2. Chlorpropamide